Treatment of choice for Tension pneumothorax is
1. Intermittent aspiration by needle
2. Continuous aspiration by needle
3. Immediate IC tube drainage
4. Thoractomy with repair of leakage

Correct answer: 3. Immediate IC tube drainage

Explanation: Once clinically diagnosed, a wide bore needle(intercostal drain) is immediately placed in the second intercostal space in midclavicular line, and a sterile glove is kept on the hub (blunt) end of the needle to create a valve so as to prevent inward sucking of the air from outside.